All of the following are side effects of Dantrolene therapy except-
1. Muscle weakness
2. Phlebitis
3. Respiratory insufficiency
4. Renal dysfunction

Correct answer: 4. Renal dysfunction

Explanation: Common side effects of Dantroleum Intravenous include: muscle weakness, drowsiness, dizziness, low energy, tired feeling, injection site reactions (pain, redness, or swelling), diarrhea, constipation